Fibromyoma is seen in age group-
1. Reproductive
2. Early adolescence
3. Late post menopausal
4. Prepubertal

Correct answer: 1. Reproductive

Explanation: Ans. is 'a' i.e., Reproductive o Fibroids are the most common benign solid tumours in females.It is the most common pelvic tumourMost commonly affects the reproductive age group.Most commonly seen in nulliparous commonMost common in Fibroido Most common (M/c) variety of fibroid# Intramural/imerstitial (75%) followed by Submucosa (15%) and subsenrous (10%)o Fibroid with maximal symptoms# Submucous fibroido To start with, all fibroids are# Interstitial (intramural)o M/c fibroid to undergo malignant change# Submucouso M/c fibroid to cause retention of urine# Posterior cendcalo Torsion is most common in# Large pedunculated subserous fibroido Fibroid causing pseudo Meigs syndrome# Subserous fibroido M/c menstrual symptom of fibroid# Menorrhagiao Inversion is seen in# Fundal fibroido M/c symptom of fundal fibroid# Menorrhagia Degenerations/Scondary changes in a fibroidAvoid=AtrophyRed=Red degenerationHot=Hyaline degeneration (MC)Fatty'=Fatty degeneration or calcificationMeat=Myxomatous degenerationof chicken=Cystic degeneration(Mnemonic : Avoid red hot fatty meat o chicken)